Mid-day meals provided in schools provide -
1. 1/2 of total calories & 1/2 of protein
2. 1/3 of total calories & 1/2 of protein
3. 1/2 of total calories & 1/3 of protein
4. 1/3 of total calories & 1/4 of protein

Correct answer: 2. 1/3 of total calories & 1/2 of protein

Explanation: Ans. is 'b' i.e., 1/3rd of total calories & 1/2 of daily protein requirementMid-day meal programmeo St is also known as 'School Lunch Programme'. It was launched in 1961 under Ministry of Education. The features of programme are :Meal should be a supplement and not a substitue to home diet.The meal should supply at least 1/3 of total energy requirement and 'A of total protein requirement.o A model-menu of mid-day school meal is as follows :-A mid-day school mealFoodstuffsg/day/childCereals and milletsPulsesOils and fatsLeafy vegetablesNon-leafy vegetables753083030